. CA - 125 is specifically associated with:
1. Colon Ca
2. Breast Ca
3. Ovarian Ca
4. Bronchogenic Ca

Correct answer: 3. Ovarian Ca